In paralytic squint, primary deviation
1. More than secondary deviation
2. Less than secondary deviation
3. Equal to secondary deviation
4. Any of the above, i.e. variable

Correct answer: 2. Less than secondary deviation

Explanation: Ans. is 'b' i.e., Less than secondary deviation In paralytic (Incomitant) squint - Secondary deviation > primary deviation. In non paralytic (Concomitant) squint - Primary deviation = secondary deviation.